When an outcome is compared with intended objectives, it is called as -
1. Monitoring
2. Evaluation
3. Input-output analysis
4. Network analysis

Correct answer: 2. Evaluation

Explanation: Input-output analysis is an economic technique.In the health feild,input refers to all health service activities which consume resources and output refers to such useful outcomes as cases treated ,lives saved or inoculations performed (refer pgno:872 park 23 rd edition)